Rituximab is antibody against :
1. CD20
2. VEGF
3. EGER
4. IL–2

Correct answer: 1. CD20